During renal transplantation the renal vein is connected to -
1. IVC
2. External Iliac vein
3. Internal iliac vein
4. Gonadal Vein

Correct answer: 2. External Iliac vein

Explanation: Answer- B. External Iliac veinThe renal artery of the new kidney, previously branching from the abdominal aorta in the donor, is often connected to the external iliac artery in the recipient.